All are tests used to assess the treatment response in helicobacter pylori infection, EXCEPT:
1. Urea breath test, the
2. Stool antigen test
3. Biopsy-based tests
4. Serology

Correct answer: 4. Serology

Explanation: The urea breath test, the stool antigen test, and biopsy-based tests can all be used to assess the success of treatment Ref:Harrisons Principles of Internal Medicine, 18th Edition, Page 1221